Diagrams used to show percentage breakdowns for qualitative data
1. Pie diagram
2. Bar diagram
3. Histogram
4. Cartogram

Correct answer: 1. Pie diagram